Superior colliculus is concerned with
1. Olfaction
2. Hearing
3. Vision
4. Pain sensation

Correct answer: 3. Vision

Explanation: The Superior colliculus is a flattened mass formed of seven concentric alternating laminae of white matter and grey matter.The efferent fibres form Superior colliculus forms tectospinal and tectobulbar tracts, which are probably responsible for the reflex movements of eyes, head, and neck in response to visual stimuli.Unilateral lesion of Superior colliculus results in relative neglect of visual stimuli and inability to track moving objects in the contralateral field of vision, although the eye movements are normal.(Ref: Vishram Singh textbook of clinical neuroanatomy second edition pg 85)